Illuminated frenzel glasses are used in detecting-
1. Nystagmus
2. Heterophoria
3. Esotropia
4. Astigmatism

Correct answer: 1. Nystagmus

Explanation: Frenzel goggles are a diagnostic tool used in ophthalmology, otolaryngology and audiovestibular medicine for the medical evaluation of involuntary eye movement (nystagmus). They are named after Frenzel, a German physician Ref AK khurana 6/e p515